All of the following are common adverse effects of HAART therapy except:
1. Steatosis
2. Lipodystrophy
3. Optic neuritis
4. Increased cholesterol

Correct answer: 3. Optic neuritis

Explanation: "Highly active antiretroviral therapy' (HAART):The standard treatment consists of a combination of at least three drugs (often called "highly active antiretroviral therapy" or HAART) that suppress HIV replication. Three drugs are used in order to reduce the likelihood of the virus developing resistance. ART has the potential both to reduce mortality and morbidity rates among HIV-infected people, and to improve their quality of life. There are five classes of drugs, which are usually used in combination, to treat HIV infection. Use of these drugs in combination can be termed anti-retroviral therapy (ART), combination anti-retroviral therapy (cART) or highly active anti-retroviral therapy (HAART). It has been realized that even with HAART, which rapidly kills > 99% virions, a small number survive within the resting CD4 lymphocytes and invariably give rise to relapse when treatment is discontinued despite complete absence of detectable viraemia and normal CD4 cell count for years. Lipodystrophy and metabolic complications Lactic acidosis Myelosuppression. Hypersensitivity rash Hepatotoxicity. Neuropsychiatric disorders. stavudine-induced peripheral neuropathy didanosine-induced pancreatitis fatigue with conjunctival pallor (due to zidovudine-related anemia), and peripheral wasting (due to stavudine-related lipodystrophy) ESSENTIALS OF MEDICAL PHARMACOLOGY,en.wikipedia.org, www.who.int/topics/antiretroviral_topics/en/ K.D.TRIPATHI SIXTH EDITION PAGE NO:774